Armoured enforcement of ET tube is used in –
1. Neurosurgery
2. Cardiac surgery
3. Liver surgery
4. Intestinal Surgery

Correct answer: 1. Neurosurgery

Explanation: Armored ET tube (Spiral embedded) is used for head & neck, maxillofacial and neurosurgeries.